Lady with Mitral stenosis and mitral regurgitation with full term gestation, obstetrician planning to conduct normal delivery, what would be analgesia of choice?
1. Parenteral opioids
2. General anesthesia
3. Inhalational analgesia
4. Neuraxial analgesia

Correct answer: 4. Neuraxial analgesia

Explanation: Pain relief is important for heart disease patients as pain can cause tachycardia, which in turn can cause cardiac failure. in heart disease patients vaginal delivery is indicated. C section done for obstetric indications only Epidural and spinal techniques are the most effective means of providing pain relief for labor. These are also known as regional techniques because pain relief is limited to a specific anatomical region. These modalities are also known as neuraxial techniques, since both the approaches involve administration of drugs that exert their effects in the axial portion of the CNS.